Falsely elevated haemoglobin is seen in?
1. Chronic renal failure
2. Burns
3. Paroxysmal nocturnal haemoglobinuria
4. Paroxysmal cold haemoglobinuria

Correct answer: 2. Burns

Explanation: Burns result in Hemoconcentration - Relative polycythemia Chronic renal failure -| Epo | Hb